All of the following statements about Epidural opioids are true, except -
1. Acts on the dorsal horn substantia gelatinosa
2. May cause pruritis
3. May cause respiratory depression
4. Gastrointestinal adverse effects are not seen

Correct answer: 4. Gastrointestinal adverse effects are not seen

Explanation: Ans is 'd' i.e. Gastrointestinal adverse effects are not seen Gastrointestinal adverse effects including nausea and vomiting are common after epidural opioids Epidural opioids o Epidural opioid infusion along with local anesthetic decreases the the dose of local anesthetic required to produce effective analgesia. Opioids after diffusion through meninges reaches the spinal cord where they bind to opioid receptors present in substantia gelatinosa of dorsal horn cells. o Opioids used for epidural analgesia are morphine, fentanyl, tramadol, buprenorphine, alfentanil, Sulfentani I, pentazocine. o Advantages of epidural opioids is that only sensory block is produced, and there is no sympathetic & motor block Pain relief without motor paralysis. The disadvantages are respiratory depression, urinary retention, pruritis, nausea & vomiting and sedation.